Which drug is given to prevent IV transmission from mother to child –
1. Nevirapine
2. Lamivudine
3. Stavudine
4. A bacavir

Correct answer: 1. Nevirapine